Tibial nerve injury/palsy causes:
1. Dorsiflexion of foot at ankle joint
2. Planter flexion of the foot at ankle joint
3. Loss of sensation of dorsum of foot
4. Paralysis of muscles of anterior compartment of leg

Correct answer: 1. Dorsiflexion of foot at ankle joint

Explanation: A i.e. Dorsiflexion of foot at ankle joint * Tibial nerve (the larger component of sciatic nerve) supplies all muscles of posterior compartment of leg (gastrocnemius, soleus, plantaris, popliteus, tibialis posterior, FHL & FDL) planti flexing the ankle & foot. Therefore, tibial nerve injury results in loss of planter flexion along with calcaneo-valgus attitude of foot (ie dorsiflexion & eversion d/t unopposed anterior compartment muscles).Deep peroneal (fibular) nerve supplies all anterior leg compartment muscles (tibialis anterior, EHL, EDL, EDB, PT) dorsiflexing the ankle & foot. Therefore, deep peroneal nerve injury r/i loss of dorsiflexion of ankle along with foot drop (ie planter flexed foot d/t unopposed posterior compartment muscles).Sole is supplied by medial & lateral plantar and sural branches of tibial nerveQ anteriorly (from medial to lateral) and calcaneal branches of tibial nerve0 posteriorly (i.e. over heel). So it is not affected in common peroneal nerve injury.Sural nerve descends lateral to calcaneal tendon near the short saphenous vein, and supplies posterior and lateral skin of distal third of legQ. It then passes along lateral side of foot and little toeQ supplying the overlying skin.Anterolateral aspect of leg, and dorsum of foot including 2" - 4th zveb spacesQ are supplied by superficial peroneal nerve.Whereas deep peroneal (fibular) nerve supplies 1st web space (i.e. adjacent sides of great and second toes)QMedial aspect of leg and foot upto ball of big toeQ is supplied by saphenous br. of femoral nerve. Whereas sural nerve supplies lateral border of footQ and postero lateral 1/ 3rd of leg.